Not a feature of dementia is -
1. Loss of sensorium
2. Wearing of dirty clothes
3. Forgetfulness
4. Loss of neurons in brain matter

Correct answer: 1. Loss of sensorium

Explanation: Ans. is 'a' loss of sensorium Loss of sensorium is a typical feature of Delirium. It is not seen in dementia.Dementia has following features -Generalized loss of neurons is seen in brain matter.Impairment of intellectual functions, impairment of memory* (predominantly of recent memory)Deterioration of personalityImpairment of Judgement & impulse controlImpairment of abstract thinkingImpairment of all functions occuring globally.